Bronchiectasis is most common in which lobe?
1. Right upper lobe
2. Right middle lobe
3. Left upper lobe
4. Left lower lobe

Correct answer: 4. Left lower lobe

Explanation: Bronchiectatic lesions are most commonly found in the lower lobes, probably because mucociliary clearance is facilitated by gravity in the upper lobes. The bronchiectatic lesions were identified most commonly in the left lower lobe, followed by the right lower lobe and left upper lobe. The most common organisms :- Haemophilus influenza (15%), Staphylococcus aureus (13%), Streptococcus pneumonia (5%), Pseudomonas aeruginosa (5%) and Mycoplasma pneumonia (5%)